Which of the following is false regarding esophagus ?
1. Subumucosa is the strongest layer
2. Inner muscular layer is circular, outer is longitudinal
3. Meissner's and Auerbach's plexus is present in muscularis propria
4. Serosa is absent

Correct answer: 3. Meissner's and Auerbach's plexus is present in muscularis propria

Explanation: Meissner plexus is present in submucosa. Myenteric ( Auerbach's plexus) is present in Muscularis propria between circular and longitudinal muscular layer.